Compensatory mechanism in a patient with hypovolemic shock
1. Increased renal blood flow
2. Decrease in cortisol
3. Decrease in vasopressin
4. Decreased cutaneous blood flow

Correct answer: 4. Decreased cutaneous blood flow

Explanation: In hypovolemic shock cutaneous blood flow is decreased because of vaso construction in skin Ref: guyton and hall textbook of medical physiology 12 edition page number:299,300,301